In which of the following condition is spastic ileus seen?
1. Porphyria
2. Retroperitoneal abscess
3. Hypokalemia
4. MI

Correct answer: 1. Porphyria

Explanation: Spastic, or dynamic ileus is rare and results from extreme and prolonged contraction of intestine. It is seen in: Heavy metal poisoning Uremia Porphyria Extensive intestinal ulceration Ref: Harrison 17/e, Page 1912.